All except one is known to cause precocious puberty
1. Primary hypothyroidism
2. Congenital adrenal hyperplasia
3. Theca cell tumor of ovary
4. Secondary hypothyroidism

Correct answer: 4. Secondary hypothyroidism

Explanation: Secondary hypothyroidism → results in hypogonadotropic hypogonadism → Delayed puberty.